Which of the following is structurally similar to growth hormone?
1. Insulin
2. Human Placental lactogen
3. Somatostatin
4. Human chorionic gonadotropin

Correct answer: 2. Human Placental lactogen

Explanation: Human placental lactogen (hPL), also known as human chorionic somatomammotropin (hCS), is a 191-amino acid protein hormone. It is produced by the syncytiotrophoblast. It is structurally similar to GH and prolactin. Functions of the hPL are similar to those of GH and prolactin, to some extent. hPL is detectable in maternal serum by 3 weeks of gestation. Its levels are directly related to the size of the placenta; as the placenta grows during pregnancy, hPL secretion also increases. hPL is protein anabolic and lipolytic, like GH. On energy metabolism, hPL action is antagonistic to insulin. It inhibits maternal glucose uptake and utilization. Increased serum glucose increases fetal glucose availability.